Enlargement of lip occured with in seconds to 24 hours is
1. Angioedema
2. Mucocoele
3. Herpes
4. Fibroma

Correct answer: 1. Angioedema